All are the side effects of tacrolimus EXCEPT :
1. Hepatotoxic
2. Nephrotoxic
3. Ototoxic
4. Neurotoxic

Correct answer: 3. Ototoxic

Explanation: Ototoxicity is not a side effect of tacrolimus.                        
Tacrolimus can cause nephrotoxicity, neurotoxicity, hepatotoxicity and diabetes mellitus.
Unlike cyclosporine, it do not cause hirsutism.